Potassium sparing diuretics -
1. Spironolactone
2. Triamterene
3. Amiloride
4. All of the above

Correct answer: 4. All of the above

Explanation: Ans. is 'd' i.e., All of the above Aldosterone antagonists Renal epithelial Ma+ channel inhibitors o Spironolactone o Eplerenone o Canrenone o Potassium canrenone o Pordenone o Mexrenone o Amiloride o Triamterene Classification: High efficacy diuretics (LOOP DIURETICS) (lnhibitors of Na+-K+-2Cl- - cotransport) Medium efficacy diuretics (lnhibitors of Na+-Cl-- symport) Weak or adjunctive diuretics Furosemide, Bumetanide, Torasemide Axosemide (Ethracynic acid and Organomercurials are only historical) a) Thiazides Hydrochlorothiazide, Benzthiazide, Hydroflumethiazide, Clopamide b) Thiazide like Chiorthalidone, Metolazone, Xipamide, Indapamide (a) Carbonic anhydrase inhibitors Acetazolamide, Methazolamide , Dichlorphenamide b) Potassium sparing diuretics (i) Aldosterone antagonists: Spironolactone, Eplerenone, Canrenone (ii) Inhibitors of renal epithelial Na* channel Triamterene, Amiloride. (c) Osmotic diuretics (Aqurectics) Mannitol, Isosorbide, Glycerol Urea (d) Adenosine A1 antagonist Caffeine (e) ADH antagonist Conivaptan Tolvaptan